Most common congenital abnormality of uterus
1. Uterus didelphys
2. Arcuate
3. Unicornuate
4. Septate

Correct answer: 4. Septate

Explanation: Types of fusion anomalies Arcuate - 18% Uterus didelphys- 8% Uterus bicornis - 26% Septate uterus- 35% Uterus unicornis- 10% D.C.DUTTA'S TEXTBOOK OF GYNAECOLOGY Pg no:45,6th edition